The sites of endometriosis order of frequency are-
1. Umbilicus, vulva, rectovaginal septum
2. pelvic peritoneum, ovaries, laparotomy scar
3. Vagina, appendix, uterine ligaments
4. Ovaries, uterine ligaments, rectovaginal septum

Correct answer: 4. Ovaries, uterine ligaments, rectovaginal septum

Explanation: It frequently is multifocal and often involves pelvic structures (ovaries, pouch of Douglas, uterine ligaments, tubes, and rectovaginal septum). Less frequently, distant areas of the peritoneal cavity or periumbilical tissues are involved. Uncommonly, distant sites such as lymph nodes, lungs, and even heart, skeletal muscle, or bone are affected. ref : Robbins Basic Pathology, 9E,page-689